A patient complains of muscle weakness. It was reversed on administration of neostigmine, because:
1. It blocks action of acetylcholine
2. It interferes with the action of mono amine oxidase
3. It interferes with the action of carbonic anhydrase
4. It interferes with the action of acetyl cholinesterase.

Correct answer: 4. It interferes with the action of acetyl cholinesterase.

Explanation: Ans. (D) It interferes with the action of acetyl cholinesterase(Ref: Katzung 11/e p105)Neostigmine acts by inhibiting the enzyme acetylcholinesterase. This enzyme is involved in degradation of ACh, consequently neostigmine increases the synaptic level of ACh. Muscle weakness can be improved by stimulation of NM receptors at muscle end plate due to increased ACh.